Segmented double stranded RNA virus is seen in -
1. Reovirus
2. Myxovirus
3. Rabies
4. Parvovirus

Correct answer: 1. Reovirus

Explanation: repeat